Plasma urea / creatinine ratio of 20:1 may be seen in:
1. Rhabdomyolysis
2. Ureteric calculi
3. Pre-renal failure
4. Chronic Glomerulonephritis

Correct answer: 3. Pre-renal failure

Explanation: Plasma urea/creatinine ratio of 20:1 is seen in renal azotemia. In renal failure both BUN and creatinine levels are elevated, and the ratio is elevated as filtered urea is reabsorbed and creatinine is excreted. Ref: CURRENT Diagnosis & Treatmentchapter, Chapter 9; Advances in clinical chemistry, Volume 29 By Herbert E. Spiegel, Page 137; Nephrology in 30 Days By Robert F. Reilly, Mark A. Perazella, Page 234.